The DEC-medicated salt for mass treatment in lymphatic filariasis was shown to be safe, cheap and effective in
1. Goa
2. Lakshadweep islands
3. Daman and Diu
4. Andaman and Nicobar islands

Correct answer: 2. Lakshadweep islands

Explanation: DEC-medicated salt for mass treatment in lymphatic filariasis was shown to be safe, cheap and effective in: Lakshadweep islands